Number of optical isomers possible for Glucose is
1. 2
2. 4
3. 8
4. 16

Correct answer: 4. 16

Explanation: Leber van Hoft rule for the number of stereoisomers is 2n where 'n' is the number of chiral centers. In open chain of glucose, there are 4 chiral centers. Hence it is 24 =16 isomers.Glucose, with four asymmetric carbon atoms, can form 16 isomers.Sugars have large numbers of stereoisomers because they contain several asymmetric carbon atoms.Ref: Harper's Biochemistry; 30th edition; Chapter 15; Carbohydrates of Physiological Significance